What is responsible for clearing & flushing food from the intestinal lumen in the interdigestive period?
1. Gastrin
2. Migrating motor complexes
3. Secretin
4. CCK

Correct answer: 2. Migrating motor complexes

Explanation: Migrating motor complex (MMC) is well characterized by the appearance of gastrointestinal contractions in the interdigestive state. This review article discussed the mechanism of gastrointestinal MMC.which helps in clearing and flushing of food during the interdigestive period. Ref: guyton and hall textbook of medical physiology 12 edition page number: 445,446,447